For reduction of shoulder one of the following technique is appropriate
1. Spinal anesthesia
2. Interscalene block
3. Axillary brachial block
4. Bier block

Correct answer: 2. Interscalene block

Explanation: Interscalene approach: most intense at C5-C7 dermatomes and least intense at C8-T1(ulnar nerve area), most optimal for procedures on shoulderAxillary approach: most optimal for a procedure from elbow to hand